Pseudoproptosis caused by
1. Buphthalmos
2. Meningioma of optic nerve
3. Orbital cellulitis
4. Dermoid cyst

Correct answer: 1. Buphthalmos

Explanation: Answer- A. Buphthalmoscauses are:Buphthalmos (congenital glaucoma),High myopia,Upper lid retraction,Paralysis of the extrinsic muscles,Stimulation of muller muscle by cocaine,Shallow orbit as in craniofacial dysostosis